In osteogenic sarcoma predominant histological finding is ?
1. Giant cells
2. Osteoid forming tumor cells
3. Fibroblastic proliferation
4. Chondroblasts

Correct answer: 2. Osteoid forming tumor cells

Explanation: Ans. is 'b' i.e., Osteoid forming tumor cells Histologic appearance of osteosarcoma It appears pale and extending through the cortex on gross cut section examination. On histological sections it consists of malignant stromal tissue showing osteoid formation. Osteoid bone formation by tumor cells is diagnostic of OGS.